Retromolar pad contains all except:
1. Superior constrictor
2. Buccinator
3. Masseter
4. Temporal tendon

Correct answer: 3. Masseter

Explanation: Retromolar pad
This is a triangular pad of tissue at the distal end of the ridge:

Its mucosa is composed of thin, nonkeratinized epithelium and submucosa contains loose areolar tissue, some glandular tissue, fibres of the buccinator (buccally), superior constrictor (lingually), pterygomandibular raphe (superoposteriorly) and tendon of the temporalis. This limits the pressure and extension in the pad.
It should be covered by the denture as determined by the muscle attachments.